Tyndallisation is carried out for:
1. One day
2. Two successive days
3. 60 minutes
4. Three successive days

Correct answer: 4. Three successive days